Chediak Higashi syndrome is characterized by the following EXCEPT:
1. Neutrophilia
2. Defective degranulation
3. Delayed microbial killing
4. Giant granules

Correct answer: 1. Neutrophilia

Explanation: Chediak-Higashi syndrome: Neutropenia (most common) Defective degranulation Delayed microbial killing Giant granules